Reperfusion is believed to restore contractile function of:
1. Stunned Myocardium
2. Hibernating Myocardium
3. Ischemic non-viable myocardium
4. Non ischemic viable myocardium

Correct answer: 2. Hibernating Myocardium

Explanation: Answer is B (Hibernating Myocardium) The contractile function of Hibernating Myocardium can be completely restored after reperfusion. `Hibernating Myocardium is a reversible state of contractile dysfunction observed in the course of chronic ischemia associated with reduction of coronary blood flow without major evidence of irreversible myocardial damage (viable myocardium). The contractile function of the hibernating myocardium can be almost completely restored after reperfusion (revascularization)' Stunned Myocardium 'Stunned Myocardium refers to a state of postischemic 'reversible' myocardial contractile dysfunction that persists despite myocardial reperfusion. Myocardial stunning essentially describes the postischemic metabolic and contractile compromise in viable myocardium after a transient coronary occlusion (i.e. post successful reperfusion in AMI). In stunned myocardium contraction does not return to baseline for a prolonged period of time after restoration of blood supply and the eventual recovery of contractile dysfunction is believed to be 'spontaneous'. Stunned myocardium is typified by a normal or near normal regional blood flow and represents a mismatch between flow and function. Hibernating Myocardium Hibernating myocardium refers to a state of ischemic (chronic) reversible myocardial contractile dysfunction that is almost completely restored after myocardial reperfusion. Myocardial Hibernation essentially describes a chronic state of contractile dysfunction at rest in non-infarcted viable myocardium as a result of persistently reduced blood flow, which has the potential to improve function after restoration of myocardial blood supply. In Hibernating myocardium the eventual return of contractile dysfunction is believed to be directly related to myocardial reperfusion/revascularization. Hibernating myocardium is typified by reduced regional blood flow and reduced flow matches contractile dysfunction.